All are useful for management of severe clostridium difficile treatment except:
1. Intravenous Metronidazole
2. Neomycin enema
3. Fecal transplant
4. Tigecycline

Correct answer: 2. Neomycin enema

Explanation: Treatment of CDI: Initial episode Oral vancomycin orFidaxomicin Fulminant CDI Vancomycin plusmetronidazole IV plus considerRectal instillation of vancomycin Consider using IV tigecycline in place of metronidazole Multiple recurrences Vancomycin; orFidaxomicin orFecal microbiota transplantation (FMT)